Dementia is seen in all except :
1. Schizophrenia
2. Head injury
3. Huntington's chorea
4. Frontal lobe tumour

Correct answer: 1. Schizophrenia

Explanation: A i.e. Schizophrenia